Cochlear implant done in
1. Scala media
2. Scala tympani
3. Scala Vestibuli
4. Middle Ear

Correct answer: 2. Scala tympani